Rinne's test is positive in:
1. Chronic suppurative otitis media
2. Normal individual
3. Wax in ear
4. Otomycosis

Correct answer: 2. Normal individual

Explanation: Rinne's test is positive i.e. air conduction > bone conduction It is seen in: Normal individuals In case of sensorineural hearing loss (SNHL) Presbyacusis causes SNHL and therefore gives positive Rinne test Presbycusis: It is sensorineural hearing loss associated with physiological aging process in the ear. It manifests at 65 years of age.